Which of the following is not an indication of cholecystectomy
1. GB polyp with stone
2. Asymptomatic polyp >1cm
3. Multiple GB polyps
4. Symptomatic GB polyps

Correct answer: 3. Multiple GB polyps

Explanation: Indications of prophylactic Cholecystectomy Cardiac transplant recipients Lung transplant recipients Chronic TPN requirements Recepients of biliopancreatic diversion (bariatric patient) Children with hemoglobinipathy (sickle cell, thalassemia and spherocytosis) Asymptomatic gallstone >= 3cm Stone associated with the polyp Family history of GB cancer and asymptomatic stones Cholelithiasis encountered during elective abdominal procedures Non- functioning GB Typhoid carrier with positive bile culture Trauma to GB Procelain GB Ref: Sabiston 20th edition Pgno :1511